In which of the following form of imaging, Harmonic imaging is related-
1. Sonography
2. Digital radiography
3. MRCP
4. Nuclear imaging

Correct answer: 1. Sonography

Explanation: Harmonic imaging is a newer technique in ultrasonography. Harmonic imaging exploits non-linear propagation of ultrasound through the body tissues. The high-pressure portion of the wave travels faster than low pressure resulting in distortion of the shape of the wave. This change in waveform leads to the generation of harmonics Advantages over conventional ultrasound * decreased artifacts * increased axial and lateral resolution * improved resolution in patients with large body habitus